All are opioid agonist - antagonist compounds except – a) Buprenorphineb) Nalbuphinec) Pentazocined) Nalmefenee) Papaverine
1. ab
2. bc
3. cd
4. de

Correct answer: 4. de

Explanation: Agonist antagonist opioids Pentazocine, Nalbuphine, Nalorphine, Butorphanol, Levallorphan, Dezocine, Meptazinol, Buprenorphine.